Mc Naughten's rule -
1. Section 84 IPC
2. Section 85 IPC
3. Section 86 IPC
4. Section 83 IPC

Correct answer: 1. Section 84 IPC

Explanation: Mc Naughtens rule (The Right or Wrong Test; Legal Test) states that "an accused person is not legally responsible, if it is clearly proved, that at the time of committing the crime he was suffering from such a defect of reason from abnormality of mind, that he did not know the nature and quality of the act he was doing, or that what he was doing was wrong. It relates to criminal responsibility of mentally ill person and is dealt within sec. 84 IPC.(Act of a person of unsound mind) which as follows: Nothing is an offence which is done by a person who, at the time of doing it, by reason of unsoundness of mind, is incapable of knowing the nature of the act, or that he is doing what is either wrong or contrary to law. INDIAN PENAL CODE, 1860: CHAPTER IV - GENERAL EXCEPTIONS (Sec 76 IPC to 106 IPC) Section 82 IPC: Act of a child under seven years of age. Section 83 IPC: Act of a child above seven and under twelve of immature understanding. Section 84 IPC: Act of a person of unsound mind. Section 85 IPC: Act of a person incapable of judgment by reason of intoxication caused against his will. Ref: 1.Dr K.S.Narayan Reddy, The Essentials of Forensic Medicine & Toxicology, 34th edition, pg. 459,460. 2. The Indian Penal Code, 1860.